A 60 year male executive of a company  who was previously well ,now complains of sudden onset severe chest pain at around 5 A.M in the morning. When he was brought to emergency at 10 A.M , he was sweating and had low volume pulse. His SBP was 60mmHg  and had low urine output. He was diagnosed to have had acute inferior wall MI. what is the next best step in management of the  patient
1. Start with dopamine intravenously
2. Give adrenaline immediately
3. Start I.V fluids
4. Give digoxin

Correct answer: 3. Start I.V fluids

Explanation: Inferior wall MI patients have low cardiac output resulting in hypotension suggesting  right ventricular infarction.  Treatment  consists  of volume expansion to maintain adequate R.V preload.